In the management of thyroglossal cyst -
1. Central portion of hyoid excised
2. Sternothyroid muscle dissected
3. Isthmusectomy with subtotal thyroidectomy
4. Strap muscle of neck are dissected

Correct answer: 1. Central portion of hyoid excised

Explanation: Thyroglossal cyst is managed by Sistrunk operation in which the cyst is completely excised along with the thyroglossal tract. Since the thyroglossal tract is intimately related to the hyoid bone, the central portion of the hyoid bone is also removed.